A patient presented with history of recurrent frontal sinusitis. Which of the following view of the X-ray is the best to show frontal sinus in this patient?
1. Towne's view
2. Water's view
3. Caldwell's view
4. Schuller's view

Correct answer: 3. Caldwell's view

Explanation: Caldwell view is also known as occipitofrontal view or nose-forehead position. Structures seen are: Frontal sinuses (seen best) Ethmoid sinuses Maxillary sinuses Frontal process of zygoma and zygomatic process of frontal bone Superior margin of orbit and lamina papyracea Superior orbital fissure Foramen rotundum (inferolateral to superior orbital fissure) Structures seen in Water's view (occipitomental view or nose-chin position): Maxillary sinuses (seen best) Frontal sinuses Sphenoid sinus (if the film is taken with open mouth) Zygoma Zygomatic arch Nasal bone Frontal process of maxilla Superior orbital fissure Structures seen in Towne's view: Arcuate eminence and superior semicircular canal Mastoid antrum Internal auditory canal Tympanic cavity Cochlea External auditory canal Both petrous pyramids Structures seen in Schuller's view: External canal superimposed on internal canal Mastoid air cells Tegmen Lateral sinus plate Condyle of mandible Sino-dural angle Antrum and upper part of attic